The density of the parafollicular cells or C- cells in the thyroid gland is maximum at the:
1. Isthmus
2. Posterior part
3. Juncture of the upper ? and lower 2/3 of the gland
4. Upper ? of the gland

Correct answer: 3. Juncture of the upper ? and lower 2/3 of the gland

Explanation: The parafollicular cells or C- cells in the thyroid gland is present in all parts of the thyroid gland. Their density is greatest in the juncture of the upper one-third and lower two-thirds of the gland. Ref: Harrison, E-18, P-2912